A gravida 3 female with H/o 2 previous 2nd trimester abortion presents at 22 weeks of gestation with funneling of cervix. Most appropriate management would be:
1. Administer dinoprostone and bed rest
2. Administer misoprostol and bed rest
3. Apply fothergill stretch
4. Apply McDonald stitch

Correct answer: 4. Apply McDonald stitch

Explanation: In this question: A third gravida female is presenting with 2 previous 2nd trimester losses and with funneling of cervix at 22 weeks of gestation which means that the patient has incompetent cervix.

Management of this condition as discussed in previous question is application of Mc Donald stitch.
Women who may have incompetent cervix and require treatment can be divided into 4 groups: